For highly visible gingiva, it is advisable to select
1. Conical teeth and short contact areas
2. Conical teeth and long contact areas
3. Square teeth and short contact point
4. None of the above

Correct answer: 4. None of the above